The following statements are true with reference to Mycoplasma except -
1. They are the smallest prokaryotic organisms that can grow in cell free culture media
2. They are obligate intracellular organisms
3. They lack a cell wall
4. They are resistant to Beta-lactam drugs

Correct answer: 2. They are obligate intracellular organisms